Wasting of the intrinsic muscles of the hand can be expected to be due to injury which nerve ?
1. Ulnar nerve
2. Radial nerve
3. Brachial nerve
4. Axillary nerve

Correct answer: 1. Ulnar nerve

Explanation: - Ulnar nerve innervates 15 of 20 intrinsic muscles of hand.Hence, its injury results in wasting of intrinsic muscles of hand - Musculocutaneous, radial, ulnar & median nerves are all important to hand function. - Musculocutaneous and radial nerves allow forearm supination; the radial nerve alone innervates the extensor muscles. - Median nerve is the "eye of the hand" because of its extensive contribution to sensory perception; it also maintains most of the long flexors, the pronators of the forearm & thenar muscles.